Ketone bodies are not used by which organ-
1. Brain
2. Liver
3. Muscle
4. Heart

Correct answer: 2. Liver

Explanation: - In liver there is absence of thiophorase, first enzyme of ketone body utilization pathway. - So Liver also cannot utilize ketone bodies. - Brain, muscle and heart can use ketone bodies during starvation. Extra information: In RBC, there is no mitochondria and ketone body utilization pathway takes place in mitochondria. So, RBC cannot utilize ketone bodies